Part of the orbit that fractures in blow out fracture of orbit is
1. Lateral wall
2. Floor of the orbit
3. Superior wall
4. Medial wall

Correct answer: 2. Floor of the orbit

Explanation: The weakest plate of bone, most commonly the orbital floor, fractures, and the orbital contents herniate down into the maxillary antrum. This soft-tissue herniation may lead to muscular dysfunction, particularly the inferior oblique and inferior rectus, leading to failure of the eye to rotate upwards.